The X-linked Charcot-Marie-Tooth disease results from a defect of:
1. Connexin 30
2. Connexin 32
3. Connexin 36
4. Connexin 40

Correct answer: 2. Connexin 32

Explanation: Charcot Marie Tooth disease is a peripheral neuropathy. It results from defective connexin-32 that forms gap junctions between adjacent Schwann cells. Defect in connexin 40 - Idiopathic atrial fibrillation.